The following chemical mediator is a product of arachidonic add metabolite by cyclo oxygenase pathway
1. LxA4
2. LxB4
3. 5-HETE
4. PGH2

Correct answer: 4. PGH2